Hanging cast is used for?
1. Femur
2. Radius
3. Humerus
4. Tibia

Correct answer: 3. Humerus

Explanation: Ans. is 'c' i.e., Humerus Cast/ Brace Used In Hanging cast & "Sugar tong" or Coaptation splintsCylinder castFracture shaft humerusFracture patellaMinnerva cast, Halo deviceCervical spineRisser's cast, Milwaukee braceBoston braceScoliosisPalvic harness, Von Rosen splint,Ilfeld or Craig splintCongenital (Developmental)Dysplasia of HipBroom stick (Petrie) cast, Snyder sling, Pattern - bottom brace, Toronto brace with universal joint, Birmingham brace, Tachdjian brace (trilateral hip abduction ohosis), Newington brace, Atlanta scottish Rite braceLegg Calve- PehesDisease